Pneumocytes are present in ?
1. Trachea
2. Bronchus
3. Bronchioles
4. Alveolus

Correct answer: 4. Alveolus

Explanation: Type 1 Pneumocyte helps in gaseous exchange. Type 2 Pneumocytes helps in production of surfactant.